A patient presented with arthritis and purpura. Laboratory examination showed monoclonal and polyclonal cryoglobulins. Histopathology showed deposits of cryoglobulins around the vessels. The patient should be tested for which of the following?
1. HBV
2. HCV
3. EBV
4. Parvovious

Correct answer: 2. HCV